At same concentration of steroid which of the following is most potent ?
1. Ointment
2. Cream
3. Lotion
4. Gel

Correct answer: 1. Ointment